The first gene to be knocked out in the carcinogenesis of the endometrium is
1. PI3KCA
2. PTEN
3. KRAS
4. p53

Correct answer: 2. PTEN

Explanation: The primary gene involved in the transformation of a normal or a hyperplastic endometrium to a neoplastic endometrium is the loss of PTEN gene function.